Baroreceptor stimulation produces
1. Decreased heart rate & BP
2. Increased heart rate & BP
3. Increased cardiac contractility
4. Decreased cardiac contractility

Correct answer: 1. Decreased heart rate & BP

Explanation: Baroreceptor reflex stimulates the vagus nerves causes release of acetylcholine at the vagal endings in the heart, thus giving a parasympathetic effect.Ref: Guyton and Hall textbook of medical physiology 13th edition. Page:155